Use of soda lime in anesthesia is?
1. As a hardner
2. As an absorbent
3. As a softner
4. As an indicator

Correct answer: 2. As an absorbent

Explanation: Ans is 'b' i.e. As an absorbent * Soda lime is the most commonly used C02 absorbent.Soda lime* Most commonly used CO2 absorbent. The composition of Soda lime is: -i) Ca (OH)2 - 94%ii) NaOH - 5% (Catalyst)iii) KOH - < 1%iv) Silica - To prevent dust formationv) Indicatorvi) Moisturevii) Granule size ->> 4 - 8 mesh* 100 gm of sodalime can absorb upto 23 litres of CO2 Now a days a good quality sodalime with prolonged life, Durasorb is used which is pink when fresh and becomes white when exhausted.* Trichloroethylene (Trilene) and sevoflurane reacts with sodalime - So, these agents should not be used in closed (circle) system.* Trilene produces phosgene (causing ARDS) and dichloroacetylene (causing neurotoxicity) which involves 5th cranial nerve most commonly.* Sevoflurane produces compound A which is nephrotoxic.* Other CO2 absorbents used are:-i) Baralyme (Barium hydroxide lime) - It is an alternative to Sodalimeii) Amsorb - is consists of calcium hydroxide and calcium chloride